Presumptive count includes -
1. No E. Coli
2. Coliform but not only E. Coli
3. Gram ne gative bacilli
4. Any bacteria

Correct answer: 2. Coliform but not only E. Coli

Explanation: Presumptive coliform count estimates the most probable number of COLIFORM organisms (and not only E.coli) in 100 ml of water. It is done with the help of McConkey's Lactose Bile Salt Broth with bromcresol purple as an indicator. Park's Textbook of Preventive and Social Medicine, 25th edition, Page No. 786